Protein A of staphylococcus binds to -
1. IgA
2. IgG
3. IgD
4. IgE

Correct answer: 2. IgG

Explanation: Ans. is 'b' i.e., IgG Virulence factors of staphylococcus aureuso Protein 'A' binds to Fc terminal of IgG (IgG 1,2 & 4 but not IgG3) and prevents opsonophagocytosis by PMNs . It is a B-cell mitogen. It is chemotactic, anti-complementory and antiphagocytico Heat stable nuclease (DNAase) is a characteristic feature of staph aureus.o Staphylococcus produces five cytolytic toxins, consisting of four hemolysins (alpha, beta, gamma and delta) and a leucocidin.o a - hemolysin is the most important hemolysin.o Beta - hemolysin is a sphingomyelinase. It exhibits a hot-cold phenomenon, the hemolysis being initiated at 37degC, but becoming evident only after chillingo Leucocidin is also called the Panton-valentine toxin.o Staphylococcal leucocidin and gamma lysin have been grouped as synergohymenotropic toxins.o Toxic shock syndrome toxin (TSST), exfoliative toxin and enterotoxins are superantigens which are potent activators of T lymphocytes and lead to an excessive and dysregulated immune response with release of cytokines IL-1, IL-2, TNF-a and IFN-g.o Enterotoxin is responsible for food poisoning, o Exfoliative (epidermolytic) toxin# Responsible for staphylococcal scalded skin syndrome (S.S.S.S.).# Severe form of SSSS is known as Ritter's disease in newborn and toxic epidermal necrolysis in older patients. Milder forms are pemphigus neonatorum and bullous impetigo.o Hyaluronidase is helpful in persistent skin infection.